Treatment for hyperprolactenemia is -
1. Estrogen
2. Bromocriptine
3. GnRh analogue
4. Cimetidine

Correct answer: 2. Bromocriptine

Explanation: Treatment of hyperprolactinemia depends on the cause of elevated PRL(prolactin) levels. Regardless of the etiology, however, treatment should be aimed at normalizing PRL levels to alleviate suppressive effects on gonadal function, halt galactorrhea, and preserve bone mineral density. Dopamine agonists are effective for most causes of hyperprolactinemia.Dopamine agonists suppress PRL secretion and synthesis as well as lactotrope cell proliferation. They include bromocriptine(2.5-15mg/day 2-3 times daily), cabergoline(0.25-1mg/week 2 doses/week), quinagolide(0.05-0.15mg/day once daily). Reference : page 2267 Harrison's Principles of Internal Medicine 19th edition ; page 791 Davidson's Principles and practice of Medicine 22nd edition .